Which of the following is respiratory analeptic drug?
1. Picrotoxin
2. Methylphenidate
3. Caffeine
4. Doxapram

Correct answer: 4. Doxapram

Explanation: ANSWER: (D) DoxapramREF: KDT 6th edition page 470CNS STIMULANT CLASSIFICATIONConvulsants: Strychnine, Picrotoxin, Bicuculline, Pentylenetetrazol (PTZ)Analeptics: DoxapramPsychostimulants: Amphetamines, Methylphenidate, Modafinil, Pemoline, Cocaine, Caffeine.Doxapram: It acts by promoting excitation of central neurones. At low doses it is more selective for the respiratory centre than other anaieptics Respiration is stimulated through carotid and aortic body chemoreceptors as well. Falling BP rises. Continuous i v infusion of doxapram has been found to abolish episode of apnoea in the premature infant not responding to Theophylline